Bloody pericardial effusion can be due to ?
1. Uremic pericarditis
2. Tuberculosis pericarditis
3. Tumour infiltration
4. All of the above

Correct answer: 4. All of the above

Explanation: Ans. is 'd' i.e., All of the above